McArdle's disease is due to deficiency of ?
1. Branching enzyme
2. Glucose 6 phosphatase
3. Acid maltase deficiency
4. Muscle phosphorylase

Correct answer: 4. Muscle phosphorylase

Explanation: Muscle phosphorylase [Ref Harper 250/e p. 181Type Enzyme deficiencyOrgan (s) affected von Gierke's diseaseGlucose 6-phosphataseLiver, kidneyIIPompe's diseasea (1 4) Glucosidase (acid maltase)All organsIIICori's disease/Forbe's diseaseDebranching enzymeMuscle, liverIVAndersen's diseaseBranching enzymeLiver, myocardiumVMcArdle's diseasePhosphorylaseMuscleVIHers' diseasePhosphorylaseLiverVIITarui's diseasePhosphofructokinaseMuscle, RBCsVIII Phosphorylase kinaseLiverThere is also on X-linked form of phosphorylase kinase deficiency. This is sole exception as all other glycogen storage diseases are inherited as autosomal recessive trait.